A child develops non-blanching macules and papules on lower extremities, mild abdominal pain and skin biopsy showed IgA deposition. Most appropriate diagnosis is:
1. Drug induced vasculitis
2. Henoch Schonlein purpura
3. Wegener's granulomatosis
4. Kawasaki disease

Correct answer: 2. Henoch Schonlein purpura

Explanation: b. Henoch Schonlein purpura(Ref: Nelson's 20/e p 1612, Ghai 8/e p 632)Classification criteria for H.S. purpura according to Pediatric Rheumatology European Society:Palpable purpura (in absence of coagulopathy or thrombocytopenia) and 1 or more of the following criteria:Diffuse abdominal painArthritis or arthralgiaBiopsy of affected tissue demonstrating predominant IgA depositionRenal involvement (proteinuria, hematuria or red cell casts)Hence, it is a typical case presentation of Henoch-Schonlein purpura.